All of the following are Derivatives of Mesonephric Duct except
1. Rete testis
2. Epididymis
3. Seminal vesicles
4. Ductus deferens

Correct answer: 1. Rete testis